Diethylstilbesterol causes the following defects to expect
1. Incompetent cervix
2. Renal anomalies
3. T saped uterus
4. Vaginal adenosis

Correct answer: 2. Renal anomalies

Explanation: Diethylstilbesterol  defects

Neural tube defects
Vaginal and cervical adenosis 
Clear cell adenocarcinoma
Uterine anomalies 
Cryptorchidism
Testicular hypoplasia